Which of the following makes up the extracellular fluid?
1. Interstitial fluid
2. Blood plasma
3. Both of the above
4. None of the above

Correct answer: 3. Both of the above

Explanation: In animals with a closed vascular system, the ECF is divided into two components: the interstitial fluid and the circulating blood plasma. The plasma and the cellular elements of the blood, principally red blood cells, fill the vascular system, and together they constitute the total blood volume. The interstitial fluid is that part of the ECF that is outside the vascular system, bathing the cells. Ref: Ganong's Review of Medical Physiology 23rd edition, Chapter 1.